The most common malignancy in an individual on immunosuppressive therapy is of -
1. Lung
2. Skin
3. Hodgkin lymphoma
4. Kidney

Correct answer: 2. Skin

Explanation: Ans. is 'b1 i.e.. Skin Cancers associated with solid organSignificantlySatisticallyLesserincreasesignificantextento Kaposi sarcomao Lungo Stomacho Skino Kidney>o Oral cavityo Non-Hodgkin lymphomao Colon and rectumo Lary>nxo Livero Pancreaso Phary>nxo Anuso Hodgkin lymphomao Vulvao Vulvao Melanomao Peniso Lipo Thyroid